Pre-exposure prophylaxis for rabies is given on days
1. 0, 3, 7, 14, 28, 90
2. 0, 3, 7, 28, 90
3. 0, 3
4. 0, 7, 28

Correct answer: 4. 0, 7, 28

Explanation: New recommended regimen/Schedule (New guidelines( Type of prophylaxis Regimen Post exposure Intramuscular Essen Regimen (1-1-1-1-1) Day 0,3,7,14,28 Post exposure intradermal Updated Thai Red Cross Regimen (2-2-2-0-2) Day 0,3,7,28 Post exposure in vaccinated individuals Day 0,3 Pre-exposure prophylaxis Day 0,7,21/28 Minimum potency: 2.5 IU per IM dose Zagreb regimen of rabies Vaccine (Intramuscular Post-exposure) : 1. 4-dose abbreviated multisite regimen 2-0-1-0-1 (2 doses on Day 0,1 dose on Day 7, 1 dose on day 21 Ref: Park 25th edition Pgno : 297-298